Which one of the following does not pass through the lungs?
1. Hookworm
2. Ascaris
3. Strongyloidis
4. Enterobius vermicularis

Correct answer: 4. Enterobius vermicularis

Explanation: Ans. (d) Enterobius vermicularis